Structure passing through foramen Rotundum is
1. Ophthalmic nerve
2. Mandibular nerve
3. Maxillary nerve
4. Abducens nerve

Correct answer: 3. Maxillary nerve

Explanation: The foramen rotundum: it leads posteriorly to the pterygopalatine fossa containing pterygopalatine ganglia. Maxillary nerve passes throgh the foramen rotundum. Ref BDC volume:3,6th edition